According to Bezold brucke effect:
1. Change in colour occurs due to change in brightness
2. Change in colour occurs due to change in wavelength
3. Both
4. None

Correct answer: 1. Change in colour occurs due to change in brightness

Explanation: According to Bezold- brucke effect, change in colour is due to change in brightness. At low light levels, the rods in the retina of the human eye are more dominant than the cones, and color perception is lost. As the brightness becomes more intense, color appears to change. This is known as the Bezold-Brucke effect. 
Phillip's 12th edition page 38